Which is not a variable of MDRD (Modification of Diet in Renal Disease) formula?
1. Age
2. Gender
3. Race
4. Weight

Correct answer: 4. Weight

Explanation: TEST : 1. CKD - EPI - cystatin C method (BEST) ; Cystatin - C is produced by nucleated cells 2. Modification of diet in renal disease formula GFR= 186.3 x (serum creatinine level ( mg/dl))-1.154 x age-0.203 x ( 0.742 if female ) x (1.21 if black) 3. Cockroft Gault formula 4. Creatinine clearance 5. Inulin clearance